Last structure to be autopsied in asphyxial death:
1. Head
2. Thorax
3. Abdomen
4. Neck

Correct answer: 4. Neck

Explanation: Ans. Neck